Infection draining the ring finger goes to
1. Thenar space
2. . Mid palmar space
3. Ulnar bursa
4. Radial bursa

Correct answer: 2. . Mid palmar space

Explanation: Mid palmar space Infection from thumb and index finger --- thenar space Middle and ring finger--mid palmar space Little finger-- fore arm space of Parona